Investigation of choice for Acute pancreatitis:
1. X-ray abdomen
2. CT scan
3. USG
4. ERCP

Correct answer: 2. CT scan

Explanation: Ans. B: CT scan Contrast CT is the imaging method of choice for delineating pancreas as well as demonstrating necrotizing pancreatitis and many of the complications of acute pancreatitis (e.g. pancreatic pseudocyst) Accuracy of contrast CT >90% when there is more than 30% glandular necrosis Presence of pancreatic necrosis is a good marker of prognosis. However in early stages routine contrast CT is of little value in the critically ill. Administration of contrast may increase risk of renal failure